Sialosis refers to
1. Bilateral parotitis
2. Sjogren's syndrome
3. Non inflammatory parotid enlargement
4. Bilateral salivary duct ectasia

Correct answer: 3. Non inflammatory parotid enlargement

Explanation: Sialosis refers to enlargement of salivary gland due to fatty infiltration, as a result of various metabolic causes like diabetes, acromegaly,obesity,liver disease,alcoholism,bulimia,idiopathic,drug induced(sympathomimetics,carbimazole,thiouracil) SRB,5th,409